Kaposi sarcoma associated herpes virus causes all of the following, except
1. Primary effusion lymphoma
2. Burkitt's lymphoma
3. Castleman disease
4. Kaposi sarcoma

Correct answer: 2. Burkitt's lymphoma

Explanation: Kaposi sarcoma, primary effusion lymphoma, castlman disease is caused by HHV 8.
Buritt's lymphoma is caused by HHV4(EBV).